Longest diameter of fetal skull is :
1. Biparietal
2. Bitemporal
3. Occipito temporal
4. Submentovertical

Correct answer: 4. Submentovertical

Explanation: Ans. is d i.e. Submentovertical Let's first see the transverse diameters of the skull. Mnemonic ? Miss Tina So Pretty (In ascending order) Miss - Bimastoid diameter 7.5 cms Tina Bitemporal diameter 8 cms So Super subparietal diameter ? 8.5 cms Pretty Biparietal diameter 9.5 cms Therefore. from above options - between bitemporal and biparietal, it is biparietal diameter which is longer. Coming on to - Antero posterior diameters of Skull. Diameter Value Subocupito bregmatic 9.5 cms Sub mento bregmatic Suboccipito frontal 10 cms Occipito frontal Sub mento vertical Therefore, Sub mento vertical diameter is 11.5 cms and is longer than biparietal diameter. Remember : Smallest diameter Longest diameter = Bimastoid diameter 1'1 = Mento vertical Ilnd = Bitemporal diameter IInd = Submento vertical/occipito frontal